Arrange the following stages of family cycle in chronological sequence
1. Formation, Extension, Complete extension, Dissolution, Contraction, Complete contraction
2. Formation, Extension, Contraction, Complete extension, Complete contraction, Dissolution
3. Formation, Contraction, Complete contraction, Extension, Complete extension, Dissolution
4. Formation, Extension, Complete extension, Contraction, Complete contraction, Dissolution

Correct answer: 4. Formation, Extension, Complete extension, Contraction, Complete contraction, Dissolution

Explanation: A normal family cycle is conceived as having 6 phases: Phases of family cycle Events in charcterising Description Begining of Phase End of Phase I Formation Marriage Birth of 1st Child II Extension Birth of 1st child Birth of last child III Complete Extension Birth of last child 1st child leaves home IV Contraction 1st child leaves home Last child leaves home V Complete contraction Last child leaves home 1st spouse dies VI Dissolution 1st spouse dies Death of survivor (extinction) Ref: Park 25th edition Pgno: 720